Which of the following infection aquired during pregnancy result in hypoplasia of limbs and scarring in the fetus?
1. Varicella
2. Herpes simplex
3. Rubella
4. Toxoplasma

Correct answer: 1. Varicella

Explanation: Women who acquire VZV infection before 20 weeks of gestation have 2% risk of delivering an infant with fetal varicella syndrome. It is unlikely in women who have chickenpox during the last half of pregnancy. Clinical manifestations of congenital varicella syndrome includes: IUGR Growth retardation Limb hypoplasia Chorioretinitis Cataract Microphthalmia Cutaneous scarring Neurological abnormalities (microcephaly, hydrocephalus, horners syndrome, cranial neuropathies)